A person with 'Inappropriate speech' evaluated by the 'Glasgow Coma Scale' will have a verbal score of:
1. 4
2. 3
3. 2
4. 1

Correct answer: 2. 3

Explanation: Answer is B (3): Use of Inappropriate words (Inappropriate speech) carries a score of '3' under the 'Verbal Response' according to the Glasgow Coma scale.